Early cause of death due to burns is :
1. Shock
2. Infection
3. Haemorrhage
4. Diabetes

Correct answer: 1. Shock

Explanation: The main causes of early death ( shock and inhalation injury. The Prognostic Burn Index is the sum of the patient's age and percentage of full thickness or deep partial thickness burn. An additional 20% mortality is added if inhalation injury is present. The Prognostic Burn Index is most useful at the extremes of age. Ref : Nemer J.A. (2013). Chapter 37. Disorders Related to Environmental Emergencies. In M.A. Papadakis, S.J. McPhee, M.W. Rabow, T.G. Berger (Eds),CURRENT Medical Diagnosis & Treatment 2014.